39.Which one of the following organisms is not associatied with synergistic gangrene:
1. Esherichia
2. Staphylococcus
3. Clostridium
4. Peptostreptococcus

Correct answer: 3. Clostridium

Explanation: Ans is c i.e. Clostridium